Jamaican vomiting sickness cause by unripe apple fruit toxin?
1. Ricin
2. Muscarin
3. Amaidine
4. Hypoglycin A

Correct answer: 4. Hypoglycin A

Explanation: Ans. is 'd' i.e., Hypoglycin A Jamaican Vomiting Sickness Jamaican vomiting sickness is an acute illness caused by the toxin hypoglycin A, which is present in unripened fruit of the ackee tree. When ingested, hypoglycin A is metabolized to produce methylenecyclopropylacetic acid (MCPA). MCPA acts to inhibit the beta-oxidation of fatty acids. It is characterized by vomiting, coma, free fatty academia, dicarboxylicaciduria, depletion of liver glycogen, fatty degeneration of liver and death.